Contraction of Detrusor muscle is mediated by?
1. S2,S3,S4
2. Vagus
3. Lumbar sympathetic supply
4. Pudendal nerve

Correct answer: 1. S2,S3,S4

Explanation: Ans. is'a'i.e., S2,S3,S4[Ref: BDC dh/e VoI. II p. 375; Clinical anatomy p. 9127Bladder is supplied by both sympathetic and parasympathetic fibers.A) Parasympathetic:Preganglionic fibers arise from S2 to S4 cord segments, pass pelvic splanchnic nerves.After relay in ganglion cells in pelvic plexus (inferior hypogastric plexus) and in bladder wall, postganglionic fibers supply detrusor muscle.Contraction of detrusor muscle is mediated by cholinergic muscarinic receptors (M3).Preganglionic parasympathetic neurons at S2, S3, and S4 cord segments innervating bladder form sacral micturition center.